Which heart diseases are most commonly associated with rubella infection –
1. PDA
2. VSD
3. ASD
4. Eisemenger's syndrome

Correct answer: 1. PDA

Explanation: Patent ductus arteriosus is the most common congenital heart disease associated with rubella, followed by pulmonary artery stenosis.
Heart disease in congenital Rubella → PDA > PS > VSD > ASD.